Yellow fever vaccination starts pro- tection after how many days of injection:
1. 5 days
2. 10 days
3. 15 days
4. 20 days

Correct answer: 2. 10 days

Explanation: 10 days